All are oncogenic viruses except -
1. EB virus
2. Reo virus
3. Retrovirus
4. Human papilloma virus

Correct answer: 2. Reo virus

Explanation: oncogenic DNA virus includes papovavirus,poxvirus,adenovirus,herpesvirus,hepatitis B virus and oncogenic RNA virus include Retrovirus. REF:ANANTHANARAYAN AND PANIKER'S TEXTBOOK OF MICROBIOLOGY 9TH EDITION PAGE NO-564-568